Lower 1/3 of vagina is formed by:
1. Mesonephric duct
2. Paramesonephric duct
3. Sinovaginal bulbs
4. Genital swellings

Correct answer: 3. Sinovaginal bulbs

Explanation: Ans. C. Sinovaginal bulbsUpper 2/3 of vagina- formed by Paramesonephric DuctLower 1/3 of vagina - formed by Urogenital Sinus (Sinovaginal Bulb of Endodermal Sinus)